Diagnosis of X linked agammaglobuliflem should be suspected if-
1. Absent tonsils and no palpable lymph nodes on physical examination
2. Female Sex
3. High Isohemagglutinins titers
4. Low CD 3

Correct answer: 1. Absent tonsils and no palpable lymph nodes on physical examination

Explanation: X-linked disorders Males have only one X chromosome; consequently, a daughter always inherits her father's X chromosome in addition to one of her mother's two X chromosomes. A son inherits the Y chromosome from his father and one maternal X chromosome. Thus, the characteristic features of X-linked inheritance are (1) the absence of father-to-son transmission, and (2) the fact that all daughters of an affected male are obligate carriers of the mutant allele